The indication of using adrenaline in neonatal resuscitation is:
1. Heart rate <100 beats/min
2. Heart rate <60 beats/min despite chest compressions and ventilation
3. Heart rate <75 beats/min
4. Heart rate <50 beats/min

Correct answer: 2. Heart rate <60 beats/min despite chest compressions and ventilation

Explanation: Ans. B. Heart rate <60beats/min despite chest compressions and ventilationMedications used in neonatal ventilation are: Epinephrine and Volume expanders. Epinephrine is indicated when heart rate does not go above 60beats/minute after positive pressure ventilation (PPV) and chest compressions. It is administered intravenously in a dose of 0.1-0.3ml/kg of a 1:10,000 solution.Volume expander: Volume expansion should be considered in a baby in shock with evidence of blood loss (as in antepartum haemorrhage) ringer's lactate or 0.9% saline can be used in a dose of 10ml/kg